In the blood bank, platelets are stored at
1. 18°C for 1 year
2. 20 to 24°C for 35 days
3. 20 to 24°C for 3 to 5 days
4. 2 to 4°C for 35 days

Correct answer: 3. 20 to 24°C for 3 to 5 days